Which of the following is a live attenuated vaccine?
1. Recombinant Hepatitis B vaccine
2. Tetanus toxoid
3. Yellow fever vaccine
4. Salk vaccine

Correct answer: 3. Yellow fever vaccine

Explanation: Recombinant Hepatitis B vaccine is a subunit type which is a highly purified vaccine by recombinant DNA technology . Tetanus toxoid is a modified bacterial toxoid. Inactivated polio vaccine or salk vaccine is a suspension of formaldehyde killed poliovirus grown in monkey kidney,human diploid or vero cell culture . Reference : Harrison20th edition pg 1078